Drug that does not prevent preterm labor is:
1. Ritodrine
2. Atosiban
3. Dexamethasone
4. Nitroglycerine patch

Correct answer: 3. Dexamethasone

Explanation: Dexamethasone REF: See APPENDIX-64 for list of "Tocolytic agents" "Steroids are given in preterm labor for fetal lung maturity and not as tocolytic agent" Nitroglycerine is also a tocolytic agent not listed in the APPENDIX-64 as it is not used routinely (not recommended)